Which of the following true about ventilation and perfusion in alveoli in erect posture?
1. Ventilation/perfusion ratio is maxm at apex
2. Ventilation/perfusion ratio is maxm at base
3. Ventilation is max at apex
4. Perfusion is max at apex

Correct answer: 1. Ventilation/perfusion ratio is maxm at apex

Explanation: The V/Q ratio can therefore be defined as the ratio of the amount of air reaching the alveoli per minute to the amount of blood reaching the alveoli per minute--a ratio of volumetric flow rates. ... The V/Q ratio can be measured with a ventilation/perfusion scan. A V/Q mismatch can cause a type 1 respiratory failure Ref: guyton and hall textbook of medical physiology 12 edition page number: 320,321,322